True about eponymous fractures is/are -a) Montegia # is # of the proximal third of ulna with radial head dislocationb) Galeazzi # is # of the distal third of the radius with dislocation of the distal radio-ulnar jointc) Colles # is # at cortico-cancellous junction of the distal-end of redius with dorsal tiltd) Potts # is Trimalleolar ankle #e) Bennet's # is Oblique intra-articular # of the base of the 1st metacarpal
1. bcde
2. abcd
3. acde
4. abce

Correct answer: 4. abce